Rose waaler test is
1. Passive agglutination for Rheumatoid arthiritis
2. Active agglutination for Rheumatoid arthiritis
3. Passive agglutination for Rheumatic fever
4. Active agglutination for Rheumatic fever

Correct answer: 1. Passive agglutination for Rheumatoid arthiritis

Explanation: Ref: Ananthanarayana textbook of Microbiology 9th edition Pgno : 110,181 Agglutination - Insoluble antigen + antibody at a suitable temperature and pH - Clumps formation Slide agglutination Identification of bacterial isolates from clinical specimens Blood grouping, Cross-matching Tube agglutination WIDAL Typhoid Standard agglutination test Brucellosis Microscopic agglutination test Leptospirosis Heterophile agglutination test Weil Felix test Rickettsial infection Streptococcal MG agglutination test Primary atypical pneumonia Paul Bunnell test Infectious mononucleosis Antiglobulin test Direct Coombs test Detect fetal Rh Ab Indirect Coombs test Detect maternal Rh Ab Passive agglutination test Hemagglutination Rose Waaler test Latex agglutination test Detection of ASO, CRP, RA factor, HCG Co-agglutination test Diagnosis of Legionellosis, Gonorrhea